The term schizophrenia means
1. Free mind
2. Euphoric mind
3. Split mind
4. Confused mind

Correct answer: 3. Split mind

Explanation: the term SCHOZPHRENIA means SPLIT MIND this was given by Eugene Bleuler it means that there is a split in the components of the mind the split is between the thoughts, cognition and behavior. Reference: Kaplon and sadock, 11 th edition, synopsis of psychiatry, 11 th edition, pg no. 301